Precancerous lesion of gallbladder is
1. Procelain gallbladder
2. Mirriz's syndrome
3. Cholesterolosis
4. Acalculous cholecystitis

Correct answer: 1. Procelain gallbladder

Explanation: Procelain Gallbladder Characterized by extensive encrustation of GB wall. Term Procelain gallbladder has been used to emphasise the blue discolouration and brittle consistency of GB wall at surgery Clinical features : Most(90%) are associated with gallstones Mean age of patients is 54 years (38-74 years) Patients are usually asymptomatic and the condition is usually found incidentally on plain abdominal radiographs, sonograms or CT images High frequency association (10%) is with GB adenocarcinoma Surgery should not be delayed even if patient is asymptomatic, because the occurrence of carcinoma is remarkably high Ref: Sabiston 20th edition Pgno :1512